Which of the following is a long acting b2 selective agonist?
1. Formoterol
2. Isoprenaline
3. Salbutamol
4. Ephedrine

Correct answer: 1. Formoterol

Explanation: Ans. is 'a' i.e., Formoterol